Pelvic brim in males -
1. Circular
2. Elliptical
3. More Spacious
4. Heart shaped

Correct answer: 4. Heart shaped

Explanation: PELVIC BRIM OR INLET: It is heart shaped in males It is circular or elliptical more spacious diameters longer in females. REF: The Synopsis of Forensic Medicine by Dr K.S.Narayan Reddy 29th edition page no: 37.